Pigmented lesions of oral mucosa do occur because of the consumption of following drug EXCEPT
1. Nifedipine
2. Zidovudine
3. Minocycline
4. Oral contraceptives

Correct answer: 1. Nifedipine